Platelet Dense granules contain all except -
1. ADP
2. 5-HT
3. Calcium
4. VWF

Correct answer: 4. VWF

Explanation: Platelets contain two specific types of granules : -
A) Alpha granule → Contains fibrinogen, fibronectin, factors V & VIII, PDGF, TGF- β and platelet factor 4.
B) Dense bodies or δ granules → Contain ADP, Ca+2, histamine, serotonin, and epinephrine.